Warthins tumour is
1. Malignant neoplasm
2. Rapidly growing
3. Gives hot pertechnate scan
4. Cold pertechnate scan

Correct answer: 3. Gives hot pertechnate scan

Explanation: Warthin's tumor, or papillary cystadenoma lymphomatosum, is the second most common benign parotid tumor and occurs most often in older white men. Because of the high mitochondrial content within oncocytes, the oncocyte-rich Warthin tumor and oncocytomas will incorporate technetium Tc 99m and appear as hot spots on radionuclide scans. If fine-needle aspiration suggests a slow-growing Warthin tumor with confirmatory technetium scanning in a patient with contraindications to surgery, the tumor may be closely monitored because it has no malignant potential.